The current drug of choice in paroxysmal Sypraventricular Tachycardia (PAVT ) is
1. Digoxin
2. Dilantoin
3. Propranolol
4. Adenosine

Correct answer: 4. Adenosine

Explanation: adenosine is the drug of choice for PSVT. Immediate electrical cardioversion is indicated if the arrhythmia is associated with hemodynamic collapse. Adenosine is the preferred drug in those patients in whom verapamil has failed or may cause adverse effects, such as those with heart failure or wide-complex tachycardia In most patients, the drug of choice for acute therapy is either adenosine or verapamil. The use of intravenous adenosine or the calcium channel blocker verapamil are considered safe and effective therapies for controlling SVTs Ref Harrison 20th edition pg 1465